Cortical lesions are usually accompanied by word blindness due to involvement of
1. Angular gyrus
2. Laterla geniculate body
3. Occipital cortex
4. Edinger-Westphal nucleus

Correct answer: 1. Angular gyrus

Explanation: Angular gyrus lesion. A lesion to the angular gyrus can result in problems with arithmetic, as well as writing, telling left from right, and the inability to tell one's fingers apart. This syndrome is called Gerstmann syndrome, and may also manifest from damage to the fusiform gyrus. Ref Harrison20th edition pg 2456